Sparrow foot marks are associated with which type of injury
1. Motor cyclist's fracture
2. Under-running or tail gating
3. Steering wheel impact
4. Wind screen impact

Correct answer: 4. Wind screen impact

Explanation: Sparrow foot marks

Multiple punctate lacerations of face of the occupants of vehicle.
Due to impact of shattered windscreen.
The side of the injuries helps in determining whether the victim was driver or front passenger.